Blood loss in class III hemorrhagic shock -
1. <750 ml
2. 750-1500 ml
3. 1500-2000 ml
4. >2000 ml

Correct answer: 3. 1500-2000 ml

Explanation: Ans. is 'c' i.e., 1500-2000 ml IndicatorClass IClass IIClass IIIClass IVBlood loss (% of blood volume)Less than 15%15-30%30-40%Greater than 40%Blood-loss (mL)Less than 750 ml750-1500 mL1500-2000 mLGreater than 2000 mLHeart rate/minLess than 100Greater than 100Greater than 120140 or greaterBlood pressureNormalNormalDecreasedDecreasedPulse pressureWidened or normalNarrowedNarrowedNarrowedCapillary retillNormalDelayedDelayedDelayed or absentVentilatory rate/min14-2020-3030-40reater than 35Urine output (mL/hr)30 or greater20-30Less than 20NegligibleSkin appearanceCool, pinkCool, paleCold moist, paleCold clammy, cyanoticNeurologic statusSlightly anxiousMildly anxiousAnxious, confusedConfused lethargy